Adverse Adverse effects of phenytoin include all of the following except?
1. Lymphadenopathy
2. Ataxia
3. Hypercalcemia
4. Hirsutism

Correct answer: 3. Hypercalcemia

Explanation: Phenytoin interferes with calcium metabolism by desensitizing target tissue to vit. D, this causes hypocalcemia (not hypercalcemia). At therapeutic level (10-20microg/ml) - Gum hypertrophy, hirsutism, hypersensitivity (rashes, lymphadenopathy, DLE, neutropenia), hyperglycemia due to inhibition of insulin release, megaloblastic anemia, pseudolymphoma, hypocalcemia, Vitamin D deficiency and osteomalacia, and teratogenicity (fetal hydantoin syndrome). At toxic level (dose-related) cerebellar syndrome (ataxia, vertigo), falling BP, arrhythmias, drowsiness, mental confusion, Gl symptoms (epigastric pain, nausea, vomiting) and local vascular injury by iv injection. REF : katzung pharmacology : 14th ed